MC injury related deaths in pediatrics is due to?
1. Road traffic accidents
2. Homicide
3. Burns
4. Drowning

Correct answer: 1. Road traffic accidents

Explanation: Ans. is 'a' i.e., Road traffic accidentsCause of deaths in pediatric population by injuriesRoad traffic accidents -MC Drowning -2' MCFire related burns- 3rd MC HomicideFalls Poisoning